True about the functions of mylohyoid is
1. Elevates the hyoid bone during swallowing
2. Elevates the tongue during speaking
3. Forms floor of the mouth
4. All of the above

Correct answer: 4. All of the above

Explanation: Other functions are
• Separates submandibular space below from the sublingual space above (but they communicate around posterior border of mylohyoid).
• Because the attachment of mylohyoid (the mylohyoid line) becomes more superior towards the posterior of the mandible, posterior infected teeth are more likely to drain into the mandibular space, and infected anterior teeth are more likely to drain into the sublingual space, since the apices of the teeth are more likely to be below and above the mylohoid line respectively.